Compared to follicular Ca, papillary Ca of thyroid have :a) More male preponderanceb) Bilateralityc) Local recurrence commond) Increased mortalitye) Increased lymph node metastasis.
1. ab
2. bce
3. acd
4. ace

Correct answer: 2. bce